Early sign of glaucoma includes following except;
1. Nerve fibre atroiphy
2. Peripheral halo
3. Vertical cup
4. Horizontal cup

Correct answer: 4. Horizontal cup

Explanation: D i.e. Horizontal cup Vertically oval cup is seen in early glaucoma where as marked (total) bean pot cupping is seen in advanced glaucoma Q